Colour blindness in ethambutol toxicity:
1. Red blue
2. Red green
3. Blue
4. Red green blue

Correct answer: 2. Red green

Explanation: Ans. (b) Red greenRef : A.K. Khurana 6th ed. 1329* Optic neuritis, the most serious adverse effect reported due to ethambutol toxicity, typically presents as reduced visual acuity, central scotoma, and loss of the ability to see green (or, less commonly, red).* Please refer to pharmacology section for detailed discussion on ATT and their side effect.